Tests of chicken pox-
1. FAMA
2. ELISA
3. PCR
4. All

Correct answer: 4. All

Explanation: Ans. is 'a' i.e., FAMA; 'b' i.e., ELISA; 'c' i.e., PCR Laboratory Diagnosis ? A) Microscopy ? Tzank smear - multinucleated giant cells Cowdry type A intranuclear inclusion bodies B) Virus Isolation VZV does not grow in experimental animals or chick embryo. It can be grown in tissue culture cell lines : - Human fibroblast - Human amnion C) Serology Demonstration either seroconversion or a fourfold or greater rise in antibody titre between convalescent and acute-phase serum. Tests are : Fluorescent antibody to membrane antigen (FAMA) Enzyme-linked immunosorbent assay (ELISA) most sensitive Immunofluorscent test. Immune adherence hemagglutination D) PCR for detection of VZV DNA